Enzyme use in ELISA -
1. Alkaline phosphatase
2. Acid phosphatase
3. Glucosidase
4. Glycosyl transferase

Correct answer: 1. Alkaline phosphatase

Explanation: (A) (Alkaline Phosphate) (64- Harper 29th) (730 U. Satyanarayana 4th)ELlSAs use antibodies covalently linked to a "reporter enzyme" such as alkaline phosphatase or horseradish peroxidase whose products are readily detected, generally by the absorbance of light or by flourescence (64- Harper 24th)* ELISA is based on the immunochemical principles of antigen-antibody reaction***Applications:1. Determination of small quantities of proteins (hormones antigen, antibodies) and other biological substances.2. Most commonly used pregnancy test for the defection of hCG in urine is based on ELISA, by this test pregnancy can be detected within few days after conception.3. Diagnosis of AIDS.